All are yeast like fungus except -
1. Cryptococcus
2. Candida
3. Trichophyton
4. None of the above

Correct answer: 3. Trichophyton

Explanation: Ans. is 'c' i.e., Trichophyton . Trichophyton is a mould or filamentous fungi infecting superficial keratinised tissues (Dermatophytes). . Cryptococcus is a yeast. (It is the only pathogenic yeast). . Candida is a yeast like Fungus. (yeast-like fungi partly as yeast and partly as elongated cells resembling hyphae).